Lysosomal Storage disorders are associated with
1. Non-disease-specific physical findings
2. Loss of function
3. Enzyme assays not useful
4. Genetic testing is helpless

Correct answer: 2. Loss of function

Explanation: (B) Loss of function # Lysosomal storage disorders (LSDs) are inherited diseases characterized by lysosomal storage and dysfunction.> Loss of lysosomal function is associated with severe neurodegeneration, which is the prominent pathological hallmark of LSDs.> Physical findings are disease-specific, and enzyme assays or genetic testing can be used to make a definitive diagnosis.